Which is the most common site of gastrinoma in MEN 1 syndrome?
1. Jejunum
2. Ileum
3. Duodenum
4. Stomach

Correct answer: 3. Duodenum

Explanation: ZOLLINGER ELLISON SYNDROME/GASTRINOMA 75% cases are sporadic, 25% are associated with MEN1 M/C site - Duodenum > Pancreas 1st part > 2nd part > 3rd part (4th not Involved) 90% of gastrinoma are present in Triangle of Passaro/Gastrinoma triangle M/C symptom - Abdominal pain Treatment DOC - Proton pump inhibitors TOC - Pylorus preserving Whipple's procedure